True statement about H. pylori is
1. Helicobacter pylori are characterized by curved gram-positive bacilli, multiple polar flagella, microaerophilic, and urease activity
2. Clinical manifestations include Type A gastritis
3. It is transmitted fecal-oral route
4. The most rapid test to detect H. pylori is the PCR

Correct answer: 3. It is transmitted fecal-oral route

Explanation: Helicobacter pylori are characterized by curved gram-negative bacilli, multiple polar flagella, microaerophilic, and urease activity.Clinical manifestations include Type B gastritis, gastric ulcers, gastric adenocarcinoma, gastric MALT lymphomas conjunctivitis, or gastroenteritis.It is transmitted fecal-oral route.The most rapid test to detect H. pylori is the urease test or urea breath test.Antimicrobial treatment include a proton pump inhibitor (such as omeprazole), antibiotics, and bismuth.